Buerger waves (alpha waves) of EEG have the rhythm per sec of
1. 0-4
2. 7-Apr
3. 13-Aug
4. 13-30

Correct answer: 3. 13-Aug

Explanation: Stages of sleep and rhythm
-        Beta rhythm- Alert, awake, maximum concentration- 13-30Hz
-        Alpha rhythm- Eyes closed, mind wandering, less attentiveness- 8-13Hz
-        Theta rhythm- Stage 1 NREM- 4-7 Hz
-        Sleep spindles, K complex- Stage 2 NREM
-        Delta rhythm- Deep sleep (Stage 3 & 4 NREM)- 3-5 Hz
-        Beta Rhythm and occasional alpha rhythm- REM